What is the histological appearance of brain in CJD?
1. Neuronophagia
2. Micro abscess
3. Demyelination
4. Spongiform changes

Correct answer: 4. Spongiform changes

Explanation: CID(Creutfeldt Jakeb Disease) is a prion disease characterised by spongiform changes in the brain.